Asbestosis is associated with all of the following pulmonary manifestations, EXCEPT:
1. Mesotheliomas
2. Diffuse alveolar damage
3. Calcified pleural plaques
4. Diffuse pulmonary interstitial fibrosis

Correct answer: 2. Diffuse alveolar damage

Explanation: Occupational exposure to asbestos result in:? Pleural effusion? Mesotheliomas? Bronchogenic carcinoma? Parenchymal interstitial fibrosis (asbestosis)? Localized fibrous plaques or rarely diffuse fibrosis? Laryngeal and other extrapulmonary neoplasms including colon cancer Ref: Robbins Pathologic Basis of Disease, 6th Edition, Pages 732-4